Yellow/fatty liver is characteristically seen in:
1. Datura poisoning
2. Cocaine poisoning
3. Phosphorus poisoning
4. Opium poisoning

Correct answer: 3. Phosphorus poisoning

Explanation: Ans. Phosphorus poisoning